A hymenal tag in a newborn is best treated by -
1. Steroids
2. Surgery
3. Leaving it alone
4. None of the above

Correct answer: 3. Leaving it alone

Explanation: Ans. is 'c' i.e., Leaving it alone Hymenal tags around margins of hymen is normal finding.